Retinitis pigmentosa is not associated with
1. Usher syndrome
2. Refsum's syndrome
3. Laurence-Moon-Biedl syndrome:
4. Marfan syndrome

Correct answer: 4. Marfan syndrome

Explanation: Associations of retinitis pigmentosaI. Ocular associations. These include myopia, primary open angle glaucoma, microphthalmos, conical cornea and posterior subcapsular cataract.II. Systemic associations. These are in the form of following syndromes:1. Laurence-Moon-Biedl syndrome: It is characterized by retinitis pigmentosa, obesity, hypogenitalism, polydactyly and mental deficiency.2. Cockayne's syndrome: It comprises retinitis pigmentosa, progressive infantile deafness, dwarfism, intellectual disability, nystagmus and ataxia.3. Refsum's syndrome. It is characterized by retinitis pigmentosa, peripheral neuropathy, and cerebellar ataxia. 4. Usher's syndrome. It includes retinitis pigmentosa and labyrinthine deafness. 5. Hallgren's syndrome. It comprises retinitis pigmentosa, vestibulo-cerebellar ataxia, congenital deafness and mental deficiency. Ref: Khurana; Comprehensive Ophthalmology; 4th edition; Page no: 269